35-year-old Raymond presents with a painless indurated ulcer on the penis with enlarged genital non-tender lymphnode. What is the diagnosis ?
1. Chancroid
2. Herpes genitalis
3. Syphilis
4. LGV

Correct answer: 3. Syphilis

Explanation: The presence of painless indurated ulcer and a non-tender lymph node is suggestive of primary syphilis.